Toxic epidermal necrolysis is also called as
1. Lyell's syndrome
2. Duhring's disease
3. Sweet's syndrome
4. Hailey and Hailey's disease

Correct answer: 1. Lyell's syndrome

Explanation: Other name for toxic epidermal necrolysis is Lyell s. Syndrome Stevens-Johnson syndrome (SJS) and toxic epidermal necrolysis (TEN) are rare, potentially life-threatening, severe mucocutaneous adverse reactions characterized by extensive epidermal detachment, erosion of mucosae and severe constitutional symptoms Ref Harrison20th edition pg 1278